Freud called which of the following the "royal road to the unconscious"?
1. Transference
2. Dreams
3. Fantasy
4. Id

Correct answer: 2. Dreams

Explanation: o Interpretation of dreams According to Freud dreams are royal road to unconscious In dreams several conflicts that are present in the unconscious comes to the consciousness in the form of dreams Thus by analyzing ones dreams we could understand the unconscious conflicts Reference: Kaplon and sadock, 11 th edition, synopsis of psychiatry, 11 th edition, pg no. 845